Barium swallow is used for-
1. Colon
2. Esophagus
3. Duodenum
4. Jejunum

Correct answer: 2. Esophagus

Explanation: Ans. is 'b' i.e., EsophagusBarium investigationUsed to visualizeBarium swallowMainly for esophagusBarium mealEsophagus, stomach, duodenumBarium follow throughSmall intestine (jejunum and ileum)Barium enemaLarge intestine (colon & rectum)